In body Plethysmography, a person is asked to expire against a closed glottis. Whiat will be the change in the pressure in the lung and the box
1. Increase in both
2. Decrease in both
3. Increase in lung decrease in box
4. Decrease in lung increase in box

Correct answer: 3. Increase in lung decrease in box

Explanation: C i.e. Increase in lung decrease in boxBecause of Boyle's law (P1V1 = P2V2), during expiration when lung volume decreases, the pressure inside the lung increases and pressure inside the air tight box decreases because the gas volume in box increases - in body plethysmography in which the subject sits in an air tight chamber.